Which of the following is the neuromuscular blocking agent with the shortest onset of action ?
1. Mivacurium
2. Vecuronium
3. Rapacuronium
4. Succinylcholine

Correct answer: 4. Succinylcholine

Explanation: Fastest acting (shortest onset of action) muscle relaxant → Succinylcholine
Fastest acting non-depolarizing muscle relaxant → Rocuronium.